Myopathy is seen in all except –
1. X–linked hypophosphaternic rickets
2. Oncogenic osteomalacia
3. Nutritional osteomalacia
4. Cushing syndrome

Correct answer: 1. X–linked hypophosphaternic rickets

Explanation: MYOPATHY 

Myopathy referrers to any skeletal muscle disease that causes structural changes or functional impairment of muscle.

CAUSES OF MYOPATHY
Congenital myopathy

Central core disease    
Nemaline myopathy 
Myotubular (centronuclear) myopathy                             

Endocrine and metabolic myopathy

Hypothyroidism, Hyperthyroidism                              
Hyperparathyroidism, Hypoparathyroidism   
Diabetes mellitus    
Acromegaly        
Cushing's syndrome       
Vitamin D deficiency → osteomalacia    

 Channelopathies                                             

Hypokalemic, hyperkalemic and normokalemic periodic paralysis

Inflammatory myopathies

Dermatomyositis 
Polymyositis
Inclusion body myositis                

Myopathies associated with inborn errors of metabolism

Lipid myopathy  
Mitochondrial myopathies (oxidative phosphorylation myopathy)        

Toxic myopathy                          

Ethanol                                                   
Steroids   
Chloroquine    
Lipid-lowering agents                              

Muscular dystrophies

Duchenne and Becker                        
Limb-girdle  
Facio-scapula-humeral          
Myotonic             
Oculopharyngeal